A two-month-old infant has undergone a major surgical procedure. Regarding postoperative pain relief which one of the following is recommended?
1. Spinal narcotics intrathecal route
2. Only paracetamol suppository is adequate
3. Intravenous narcotic infusion in lower dosage
4. No medication is needed as infant does not feel pain after surgery due to immaturity of nervous system

Correct answer: 3. Intravenous narcotic infusion in lower dosage

Explanation: Intravenous Opioids are the mainstay of analgesia in neonates and infants in the postoperative period. Morphine and fentanyl are frequently used in neonatal ICU for analgesia. To reduce the likelihood of opioid tolerance, use of different opioids or addition of other medications such as intravenous naloxone and iv methadone are used. Ref: Clinical Anesthesia By Paul G. Barash, 6th Edition, Page 1190.